Temporal association of a disease is best established by
1. Case-Control study
2. Cross-section study
3. Cohort study
4. Descriptive study

Correct answer: 3. Cohort study

Explanation: Temporal relationship: Exposure must precede disease"A well-designed cohort study is considered the most reliable means of showing an association between a suspected risk factor and subsequent disease"Park 23e pg:76